The inability to carry out certain function or activity which is otherwise expected for that age/sex is known as
1. Disease
2. Impairment
3. Disability
4. Handicap

Correct answer: 3. Disability

Explanation: Disability Because of an impairment, the affected person may be unable to carry out certain activities considered normal for his age, sex, etc. This inability to carry out certain activities is termed "disability". A disability has been defined as "any restriction or lack of ability to perform an activity in the manner or within the range Considered normal for a human being". Ref:Park 24th Edition Pgno : 48